A 31 year old male, with mood disorder, on 30 mg of haloperidol and 100 mg of lithium, is brought to the hospital emergency room with history of acute onset of fever, excessive sweating, confusion, rigidity of limbs and decreased communication for a day. Examination reveals tachycardia and labile blood pressure and investigations reveal increased CPK enzyme levels and lecocytosis. He is likely to have developed.
1. Lithium toxicity
2. Tardive dyskinesia
3. Neuroleptic malignant syndrome
4. Hypertensive encephalopathy

Correct answer: 3. Neuroleptic malignant syndrome

Explanation: C i.e. Neuroleptic malignant syndrome